Immunoprophylaxis of leprosy is best done by which of the following given choices?
1. MMR
2. Killed ICRC bacillus
3. Plague bacillus
4. Anthrax bacillus

Correct answer: 2. Killed ICRC bacillus

Explanation: Maximum work has been done with BCG+ heat killed M. leprae (will be the best answer). In the choices given Cat 2 killed ICRC bacillus is used for Immunoprophylaxis of leprosy. Ref: Park, 20th Edition, Page 286.